Hilar lymphadenopathy is seen in which type of Hodgkin's disease -
1. Lymphocyte predominent
2. Mixed type
3. Lymphocyte depleted
4. Nodular sclerosis

Correct answer: 4. Nodular sclerosis